A Particular genetic disorder appears in three consecutive generations of a family without any sex predilection. It was also noticed that phenotypically normal family members were having healthy offspring, What is the pattern of inheritance of this disorder ?
1. Autosomal recessive
2. Autosomal dominant
3. Mitochondrial inheritance
4. Uniparental disomy

Correct answer: 2. Autosomal dominant